Intrinsic muscles of the tongue are derived from?
1. 2 nd branchial cleft
2. Pharyngeal arch mesenchyme
3. Occipital somites
4. Cervical somites

Correct answer: 3. Occipital somites

Explanation: Most of the tongue muscles are derived from myoblasts that migrate from the occipital somites.The tongue's embryonic orgin is derived from first 4 pharyngeal arches contributing different components.Anterior 2/3" or body of tongue: is derived from 3 lingual buds- the median tongue bud (tuberculum impar) and 2 lateral lingual swellings developing at each side of the median tongue bud. (Taste sensation to the anterior 2/3rd of the tongue is provided by the chorda tympani branch of the facial nerve).Post 1/3" or root of the tongue: is formed from two median elevations;